The conjugation of bilirubin to glucuronic acid in the liver
1. Converts a hydrophilic compound to a hydrophobic one
2. Converts a hydrophobic compound to a hydrophilic one
3. Enables the bilirubin molecule to cross the cell membrane
4. Is increased during neonatal jaundice

Correct answer: 2. Converts a hydrophobic compound to a hydrophilic one

Explanation: In liver bilirubin which is a hydrophobic compound is conjugated with glucuronic acid, to make it water soluble. The further transport of bilirubin into bile is an active process Only unconjugated bilirubin elevates in neonatal/hemolytic jaundiceRef: Textbook of biochemistry for medical students, seventh edition, page no: 277